Which of the following signs of congestive cardiac failure constitute a major risk to the surgical patient undergoing anaesthesia ?
1. Jugular venous distention and third heart sound
2. Cardiomegaly
3. Pedal oedema
4. Basal crepitations on auscultation

Correct answer: 1. Jugular venous distention and third heart sound

Explanation: Higher perioperative risk is seen with :- Systemic hypertension, elevated jugular venous pressure, pulmonary rales, the presence of third heart sound, murmurs suggestive of significant valvular disease, and vascular bruits.